Endodontic implants refers to those
1. Used to obturate the canal
2. used to stabilize periodontally weakened with poor crown root ratio
3. Placed between periosteum and cortex of bone
4. Which are embedded within the bon

Correct answer: 2. used to stabilize periodontally weakened with poor crown root ratio